For determination of sex, smear is taken from
1. Buccal mucosa
2. Vagina
3. Skin
4. Nose

Correct answer: 1. Buccal mucosa

Explanation: Buccal mucosa